A fractured mandibular condyle is displaced forward and medially by the action of the following muscle:
1. Temporalis
2. External pterygoid
3. Internal pterygoid
4. Masseter

Correct answer: 2. External pterygoid